The Syndrome which represent subset of the Carney complex is:
1. NAME syndrome
2. Leopard syndrome
3. MERRF syndrome
4. Wilkie's syndrome

Correct answer: 1. NAME syndrome

Explanation: NAME syndrome and LAMB syndrome represents the subsets of carney's complex. Approximately 90% of myxomas are sporadic; the remainder are familial with autosomal dominant transmission. The familial variety often occurs as part of a syndrome complex (Carney complex) that includes (1) myxomas (cardiac, skin, and/or breast), (2) lentigines and/or pigmented nevi, and (3) endocrine overactivity (primary nodular adrenocortical disease with or without Cushing's syndrome, testicular tumors, and/or pituitary adenomas with gigantism or acromegaly). Certain constellations of findings have been referred to as the NAME syndrome (nevi, atrial myxoma, myxoid neurofibroma, and ephelides) or the LAMB syndrome (lentigines, atrial myxoma, and blue nevi), although these syndromes probably represent subsets of the Carney complex. Ref: Harrisons, 18th Edition, Page 1979